Dentist act was introduced on
1. 27th March 1948
2. 29th March 1948
3. 27th March 1949
4. 29th March 1949

Correct answer: 2. 29th March 1948